True statement about the heart sounds:
1. S1 is of higher frequency and longer duration as compared to S2.
2. S2 is of higher frequency and longer duration as compared to S1.
3. S1 has higher frequency but shorter duration compared to S2.
4. S2 has higher frequency but shorter duration compared to S1.

Correct answer: 4. S2 has higher frequency but shorter duration compared to S1.

Explanation: Frequencies: S1 = 25-45 Hz; S2 = 50 Hz Durations: S1 = 0.1-0.17 sec; S2 = 0.1-0.14 sec. Durations of other heart sounds: Duration of S3- about 0.04 sec Duration of S4 - about 0.05-0.08 sec. The first heart sound is a low, slightly prolonged "lub", caused by vibrations set up by the sudden closure of the AV valves at the start of ventricular systole. The second heart sound is a shorter, high-pitched "dup", caused by vibrations associated with closure of the aortic and pulmonary valves just after the end of ventricular systole. A soft, low-pitched third sound is heard about one-third of the way through diastole in many normal young individuals. It coincides with the period of rapid ventricular filling and is probably due to vibrations set up by the inrush of blood. A fourth sound can sometimes be heard immediately before the first sound when atrial pressure is high or the ventricle is stiff in conditions such as ventricular hypertrophy. It is due to ventricular filling and is rarely heard in normal adults.